All are true about carpal tunnel syndrome except,
1. Seen in pregnancy
2. Median nerve compression
3. Smith's fracture is the most common cause
4. Symptoms seen more during night

Correct answer: 3. Smith's fracture is the most common cause

Explanation: Most common cause of carpal tunnel syndrome is idiopathic.
Malunited colle's fracture is one of the cause but Smith's fracture is not the cause.